Identical twins can be differentiated by:
1. Fingerprint
2. DNA fingerprinting
3. Blood grouping
4. Age

Correct answer: 1. Fingerprint

Explanation: Ans. (A). Finger print(Ref: Essentials of Forensic medicine, Dr KS narayana Reddy, 33th Edition, P: 86)Among twins, the DNA fingerprint will show same patternBut the fingerprint pattern is different even in identical twins.The Fingerprint patterns are not inherited and paternity cannot be proved through fingerprint patterns.The fingerprint patterns are distinctive and permanent in individuals.